Which of the following is associated with >20% risk of chromosomal anomalies?
1. Cleft lip
2. Gastroschisis
3. Omphalocele
4. Spina bifida

Correct answer: 3. Omphalocele

Explanation: Omphalocele is a membrane-covered herniation of abdominal contents into the base of the umbilical cord; the incidence is 2 per 10,000 live births (0.02%). Over 50% of cases have either an abnormal karyotype or an associated syndrome. The sac may contain liver and spleen as well as intestine. Prognosis varies with the size of the lesion, with the presence of pulmonary hypoplasia and respiratory insufficiency, and with the presence of associated abnormalities. Ref: Thilo E.H., Rosenberg A.A. (2012). Chapter 2. The Newborn Infant. In W.W. Hay, Jr., M.J. Levin, R.R. Deterding, J.J. Ross, J.M. Sondheimer (Eds), CURRENT Diagnosis & Treatment: Pediatrics, 21e.